Sterile haemorrhagic cystitis is caused by ?
1. Busulfan
2. Ketoprofen
3. Methicillin
4. Cylclophosphamide

Correct answer: 4. Cylclophosphamide

Explanation: Ans. is `d' i.e., Cyclophosphamide "Haemorrhagic cystitis can develop in patients receiving cyclophosphamide or ifosfamide." o Hemorrhagic cystitis due to cyclophosphamide is attributed to the presence of its metabolite ACROLEIN in urine. Other drugs causing hemorrhagic cystitis Carmustine o Extended spectrum penicillins o Vincristine Chlorambucil o Nitrogen mustard o Busulfan